A 38 year old female complaining of decreased hearing in the right ear for the last two years. On testing with a 512 Hz tuning fork, the rinne's test without masking is negative on the right ear and positive on the left ear. With the weber's test, the tone is perceived as louder in the left ear. The most likely problem the patient has is
1. Right conductive hearing loss
2. Right sensorineural hearing loss
3. Left sensorineural hearing loss
4. Left conductive hearing loss

Correct answer: 2. Right sensorineural hearing loss

Explanation: Patient is presenting with right sided deafness.Interpretation of Rinne's test in this patientRight side negative means : -i) Right sided conductive deafness.orii) Right sided severe sensorineural hearing loss which gives false negative results.Left side positive test means : -Normal left earLeft sided sensorineural hearing loss (However this is not the case in this patient as the patient is presenting with right sided hearing loss).Interpretation of Weber test in this patientWeber is lateralized to left ear. That means : -Right sided sensorineural hearing loss.Left sided conductive deafness (However, this is not the case as patient is presenting with right sided hearing loss).Thus , this patient is suffering from severe right side sensorineural hearing loss in which the Rinne's test is false negative and weber is lateralized to left ear.